All of the following surgical procedures are used for hypertrophic rhinitis except:
1. Radiofrequency ablation of the inferior turbinate
2. Laser ablation of the inferior turbinate
3. Sub-mucosal placement of silastic in inferior turbinate
4. Inferior turbinectomy

Correct answer: 3. Sub-mucosal placement of silastic in inferior turbinate

Explanation: (c) Submucosal placement of silastic in inferior turbinate(Ref. Cummings, 6th ed., 700; Scott Brown, 8th ed., Vol 1; 1146)Submucosal placement of silastic will aggravate the condition.